Infective diarrhoea is caused by-a)  Rotavirusb)  Calcivirusc)  Flavivirusd)  Enterovirus
1. abd
2. bcd
3. abc
4. ab

Correct answer: 1. abd